Odynophagia means:
1. Pain during swallowing
2. Difficulty in swallowing
3. Bad odour from mouth
4. Psychiatric disease

Correct answer: 1. Pain during swallowing

Explanation: Ans. a (Pain during swallowing). (Ref. Diseases of ENT by PL Dhingra /3rd 402, 444)TermDefinationOdynophagiapainful deglutition.Dysphagiadifficulty in deglutition.Dysphagia lusoriaesophageal compression due to aberrant vessel, leading to dysphagia.Globus hystericusa psychiatric condition characterized by dysphagia.Halitosisbad odour from mouth.